Which of the following is useful in management of choroidtis:
1. Antibiotics
2. Steroids
3. Miotics
4. Padding

Correct answer: 2. Steroids

Explanation: Ans. B: Steroid Choroiditis in included in posterior uveitis Corticosteroids, usually administered topically as drops or ointments or as subconjunctival injections, are of great value in controlling the inflammation in the acute phase of uveitis